A 40-year-old patient is suffering from carotid body tumor. Which of the following is the best choice of treatment for him?
1. Excision of tumor
2. Radiotherapy
3. Chemotherapy
4. Carotid artery ligation both proximal and distal to the tumor

Correct answer: 1. Excision of tumor

Explanation: Ans. (a) Excision of tumorRef: Schwartz 10th Edition Page 678* It is a non-chromaffin paraganglioma* 10% have family history* FNAC and Biopsy are contraindicated* Carotid Angiogram shows - LYRE sign* Excision of the tumor is the treatment of choice.* It rarely metastasize and growth is very slow hence in old age no need of surgery.* Complications of Excision:# Most common nerve injured: Superior Laryngeal Nerve# First bite syndrome: Pain with mastication# Baroreceptor failure if both side carotid body tumor is excised (Wide fluctuations in BP happens)